Rule of 10 for cleft lip repair does not include:
1. Haemoglobin should be greater than 10gm%.
2. Age should be 10 weeks.
3. Total leukocyte count should be less than 10,000 per mm cubic.
4. None.

Correct answer: 4. None.

Explanation: Other than these weight of the child should be 10lbs.